Following features differentiate hydranencephaly from hydrocephalus
1. Hydranencephaly is static whilst hydrocephalus continues to increase in size
2. Hydranencephaly does not increase in head size
3. Cerebral cortex is deficient /hypoplastic in hydranencephaly
4. All of the above

Correct answer: 3. Cerebral cortex is deficient /hypoplastic in hydranencephaly

Explanation: In hydranencephaly, cerebral hemispheres are absent or are represented by membranous sacs with remnants of frontal, temporal or occipital cortex dispersed over the membrane while the midbrain and brainstem are relatively intact. Ref: Nelson's 20th edition, page 2817